GH deficiency is diagnosed by -
1. Bone age less than chronological age
2. Bone age more than chronological age
3. Bone age equal to chronological age
4. Ratio of upper to lower segment of body is increased

Correct answer: 1. Bone age less than chronological age

Explanation: Ans. is 'a' i.e., Bone age less than chronological age Short stature due to Human Growth hormone deficiency in characterized by -1. Ratio of upper to lower segment is normal.2. Bone age or epiphyseal development is less than chronological age by about 2 years.3. Childrens are normal in height and weight at birth.4. Delay in growth is usually observed after the age of one year.